A 35 years old man presented with dry cough and rusty coloured sputum; He has history of eating in chinese restraunt very often with consumption of crabs often; What is the probable causative agent in this condition?
1. Diphyllobothrium latum
2. Pneumocystis jirovecii
3. Paragonimus westermani
4. Strongyloides stercoralis

Correct answer: 3. Paragonimus westermani

Explanation: from above mentioned clinical scenerion Paragonimus westermani (lung fluke) is moste likely to be causitive organism:- Paragonimus westermani first intermediate host- snail 2nd intermediate host - crab in crab metacercarie larva which is cyst like stage is seen. It causes Red Brown sputum or endemic hemoptysis.